All of the following use c-AMP as a second messenger except
1. Corticotropin
2. Dopamine
3. Testosterone
4. Vasopressin

Correct answer: 3. Testosterone

Explanation: Testosterone - the principal male sex hormone (androgen) is a steroid hormone that is produced by Leydig's cells of the testes in response to luteinizing hormone secreted by the pituitary gland. It is also produced by the adrenal cortex in both males and females.Ref: Ganong's review of medical physiology; 24th edition: page no: 423